Average thickness of the periodontal ligament is
1. 0.15 to 0.38 mm
2. 0.05-015 mm
3. 0.38 -0.48 mm
4. 0.26-0.38 mm

Correct answer: 1. 0.15 to 0.38 mm